Glioblastoma multiforme may occur in the following except:
1. Cerebrum of adult
2. Brain stem of child
3. Spinal cord of adult
4. Adrenal medulla of child

Correct answer: 4. Adrenal medulla of child

Explanation: Glioblastoma multiforme can occur in cerebrum, cerebellum & spinal cord but not in the adrenal medulla. GLIOBLASTOMA MULTIFORME Ring enhancement with central necrosis on MRI Known as butterfly tumor as it crosses midline